A 55 year old known smoker since 25 years presents with a low pitched voice. Endoscopy shows a mass limited to the vocal cord on the left. Biopsy is suggestive of laryngeal cancer type T1NO. Treatment of choice would be
1. Vertical partial hemilaryngectomy
2. Radiotherapy
3. Chemotherapy
4. Total laryngectomy with cervical lymph node dis section

Correct answer: 2. Radiotherapy

Explanation: Ans. is 'B' i.e., Radiotherapy [Ref: Dhingra 4th/e p. 284; class="normal">Treatment of glottic cancer:T, carcinoma : - Radiotherapy is the treatment of choice. Surgery is used only after they recur.Ti carcinoma with extension to anterior commissure : - The treatment of choice is radiotherapy. If it is unavailable, frontolateral partial laryngectomy is done with regular follow up. If it fails, total laryngectomy is performed.T, Ca with extension to arytenoid : - Treatment is same as above but surgery is preferredT, carcinoma : - Treatment depends on- i) Mobility of vocal cords, and ii) Involvement of anterior commissure and/or arytenoid :If mobility of cord is not impaired (cord is mobile) and anterior commissure and/or arytenoid not involved. Radiotherapy is the treatment of choice. In case of recurrence total laryngectomy or partial vertical laryngectomy is done.